All of the following dyes are water soluble except:
1. Metrizamide
2. lohexol
3. Conray 420
4. Myodil

Correct answer: 4. Myodil

Explanation: Ans. Myodil